Characteristic pathological finding in carcinoid of heart -
1. Fibrous endocordial thickening of right ventricle andtricuspid valve
2. Collagen deposition in wall of right ventricle and tricuspid valve
3. Interstitial fibrous thickening of right ventricle and pulmonic valve
4. Mononuclear inflammatory infiltrate in the wall of right atrium

Correct answer: 1. Fibrous endocordial thickening of right ventricle andtricuspid valve

Explanation: Ans. is 'a' i.e., Fibrous endocardial thickening of right ventricel and tricuspid valve Carcinoid heart disease o Carcinoid heart disease is the cardiac manifestation of the systemic syndrome caused by carcinoid tumors. o It generally involves the endocardium and valve of the right side of heart. o Cardivascular lesions consist of firm plaque like endocardial fibrous thickenings on the inside surfaces of the cardiac chambers and the tricuspid and pulmonary valves. Occasionally they involve the major blood vessels of the right side, the inferior vena cava and the pulmonary artery. o These plaque like thickenings are composed predominantly of smooth muscle cells and sparase collagen fibres embedded in an acid mucopolysaccharide-rich matrix materials. Elastic fibers are not present in the plaque. The most common cardiac manifestation is tricuspid regurgitation. Stenosis of right sided valve may also develop. Why does right sided heart involvement more common ? o Carcinoid tumors produce a variety of bioactive products that produce these (above described) heart lesions. o Among these, serotonin is most important. Serotonin is inactivated during its passage through lung. o As you all know, left side of heart recieve blood from pulmonary circulation, left sided hear lesions are uncommon (Because serotonin has already been metabolized in lung). Similarly, gastrointestinal carcinoid tumors do not induce carcinoid heart disease (neither right nor left) as bioactive mediators released into the portal circulation are metabolized in the liver. o Therefore carcinoid heart disease is produced by tumors that have extensive hepatic metastasis (liver releases the mediators directly into IVC) or carcinoid tumors of organs that are outside portal circulation (e.g., ovary). Left sided heart involvement o Left sided heart involvement occurs only under unusual circumstances. 1.Patent foramen ovale Blood containing serotonin passes from right to left shunt. 2.Primary or metastatic carcinoid tumor of lung --) Pulmonary circulation deliveres serotonin directly to left side of heart. 3.Use of drugs that have serotonergic activity e.g., fenfluramine, phenteramine, methylsergide or ergotamine.